In hyperparathyroidism, which of the following is not seen
1. Normal alkaline phosphatase
2. Decreased phosphate in urine
3. Increased calcium
4. Hypophosphatemia

Correct answer: 2. Decreased phosphate in urine

Explanation: there is increased phosphate level in urine ( Harrison 17 pg 2382)